Acute gout is treated with
1. Colchicine
2. Methotrexate
3. Allopurinol
4. Probenecid

Correct answer: 1. Colchicine